Best means of giving hepatitis B vaccine is
1. Subcutaneous
2. Intradermal
3. Intramuscular deltoid
4. Intramuscular gluteal

Correct answer: 3. Intramuscular deltoid

Explanation: Ans. is 'c' i.e., Intramuscular Deltoid Prophalyxis against HBV . Both passive and active immunization are available for HBV infection prophylaxis. . Passive prophylaxis is by hepatitis B immune globulin (HBIG). . Active immunization is by recombinant hepatitis B vaccine. . These are two recombinant vaccines : Recombivax - HB Engerix - B Vaccine is given intramuscular into the deltoid or in infants into the anterolateral aspect of thigh. Gluteal injection is not recommended as it may result in poor immune response. . Three doses are given at 0, 1 and 6 months. . For pre exposure prophylaxis only hepatitis B vaccine is given. . For post exposure prophylaxis combination of HBIG and hepatitis B vaccine is recommended. For perinatal exposure single dose of HBIG at birth along with complete course of vaccination is recommended. First dose of vaccine should be given within 12 hours after birth.